Farmer's reducer is:
1. Potassium sulfite + Sodium sulphate
2. Potassium ferricyanide + Sodium thiosulphate
3. Potassium sulfite + Sodium hydroxide
4. All of the above

Correct answer: 2. Potassium ferricyanide + Sodium thiosulphate

Explanation: Farmer's Reducer is composed of separate solutions of Potassium Ferricyanide and Sodium Thiosulfate (plain hypo). These are usually combined just before use or are used as a two bath treatment.